Comb sign in CT abdomen is seen in:
1. Crohns disease
2. Ulcerative colitis
3. Tuberculosis
4. Intestinal lymphoma

Correct answer: 1. Crohns disease

Explanation: CT finding in Crohns disease: Mural thickening with stratification is seen with active inflammation Vascular engorgement of the mesentery (comb sign) Hypodense lymph nodes CT findings in intestinal tuberculosis: Mural thickening with contiguous ileo-cecal involvement Hypodense lymph nodes with peripheral enhancement Ref: World J Gastroenterol. 2011 January 28; 17(4): 433-443.